Which of the following diseases is covered under "Learning for life" training module?
1. AIDS
2. Tuberculosis
3. Malaria
4. Leprosy

Correct answer: 1. AIDS

Explanation: The school AIDS education is one of the important activities under National AIDS Control Programme. A training module called Learning for life has been prepared to bring an uniformity in approach. Ref: Park 21st edition, page 399.